All of the statements are true about ileum except :
1. LN in mesentery
2. 3-6 arcades in continuation
3. Smaller diameter than jejunum
4. Large circular mucosal folds

Correct answer: 4. Large circular mucosal folds

Explanation: D. i.e. Large circular mucosal folds